Inflammatory bowel disease found in children :a) Ulcerative colitisb) Tropical spruec) Crohn's diseased) Celiac diseasee) Cystic fibrosis
1. ac
2. a
3. ad
4. bc

Correct answer: 1. ac